Tumour, most sensitive to radiotherapy:
1. Yolk sac tumour
2. Embryonal cell tumour
3. Teratoma
4. Seminoma

Correct answer: 4. Seminoma

Explanation: Ans. D: Seminoma Highly radiosensitive tumours are 1) hodgkin's disease, 2) seminoma, 3) wilm's tumour and 4) medulloblastoma